Which is not seen in polycythemia vera
1. Increased Vit B12 binding capacity
2. Increased erythropoietin level
3. Increase RBC count
4. Ocular congestion

Correct answer: 2. Increased erythropoietin level

Explanation: Harshmohan textbook of pathology 7th edition. *in PV unlike secondary polycythemia erythropoetin level in urine and serum is reduced.